Labial bar is indicated when ?
1. There is diastema
2. There is labial inclination of teeth
3. There is lingual inclination of teeth
4. There is periodontally weak teeth

Correct answer: 3. There is lingual inclination of teeth

Explanation: Rest all are contraindications for labial bar.